Gram —ve bacteria stain during gram staining:
1. Blue color
2. Red color
3. Green
4. Colorless

Correct answer: 2. Red color